Which of the following drug causes flaccid paralysis of ascaris ?
1. Albendazole
2. Pyrantel pamoate
3. Piperazine
4. Ivermectin

Correct answer: 3. Piperazine